Radiation protection shields are made up of -
1. Copper
2. Silver
3. Lead
4. Tin

Correct answer: 3. Lead

Explanation: Excessive radiation exposure has adverse effects on health.Effective protective measure include proper use of lead shields and rubber aprons. Lead aprons of 0.5 mm of lead will reduce the intensity of scattered X rays over 90 % and could be worn by al workers regularly associated with X ray procedures. Parks textbook of preventive and social medicine.K Park. Edition 23.page no:745